Chronic granulocytic leukemia is due to
1. Chromosomal deletion
2. Chromosomal mutation
3. Chromosomal translocation
4. None of the above

Correct answer: 3. Chromosomal translocation